Enzyme used in PCR is
1. Reverse transcriptase
2. Taq polymerase
3. RNA polymerase
4. None

Correct answer: 2. Taq polymerase

Explanation: In step 3 i.e polymerization : New DNA strands are synthesized by Taq polymerase. This enzyme is derived from bacteria Thermus acquaticus that are found in hot springs.Therefore the enzyme is not denatured at high temperature. REFERENCE : DM.VASUDEVAN.TEXTBOOK; SEVENTH EDITION; PAGE NO :638.